Extra-adrenal pheochromocytoma secretes -
1. Norepinephrine
2. Epinephrine
3. Metanephrine
4. Dopamine

Correct answer: 1. Norepinephrine

Explanation: Ans is option 1.. Norepinephrine Catecholamines secreted by adrenal medulla - Normally - epinephrine 80% nor epinephrine 20% In adrenal pheochromacytoma- epinephrine is the main hormone secreted.. Norepinephrine also increased In extraadrenal pheochromocytoma - Norepinephrine exclusively In malignant pheochromocytoma - dopamine and homovanillmic acid increases Ref Harrison 17/e p 2270